Which of the following treatments is appropriate for tall peaked T waves on ECG?
1. Atropine IV
2. Nitroprusside IV
3. Inhaled Salbutamol
4. Inhaled betamethasone

Correct answer: 3. Inhaled Salbutamol

Explanation: Tall T-waves (also called hyper-acute T waves) can be an early sign of ST-elevation myocardial infarction. The morphology of the T waves can begin to broaden and peak within 30 minutes of complete coronary artery occlusion, and thus may be the earliest sign of myocardial infarction on the EKG. Salbutamol. Used a second line management in the treatment of hyperkalaemia when a glucose / insulin infusion is inappropriate or has been unsuccessful in lowering serum potassium levels. Salbutamol reduces serum potassium levels by increasing the shift of extracellular potassium into the intracelluar space This inhaled salbutamol is used in tall t waves Ref Harrison 20th edition pg 1556